In a normal surve, what percent of the values will be included in the area between two standard deviations on either side of the mean (x+- ....) ?
1. 68.3
2. 90.4
3. 95.4
4. 99.7

Correct answer: 3. 95.4

Explanation: 95.4%. Reference:Park's textbook of preventive and social medicine,K.Park,23rd edition,page no:849.